Lewy's body is seen in ?
1. Alzheimer's
2. Rabies
3. Parkinsonism
4. Multi infarct dementia

Correct answer: 3. Parkinsonism

Explanation: Ans. (c) ParkinsonismRef: Robbin's pathology 9th ed. /1294-95Lewy body is an eosinophilic cytoplasmic inclusion consisting of a dense core surrounded by a halo of 10-nm- wide radiating fibrils, the primary structural component of which is alpha-synuclein. It is seen in Parkinsonism,Dementia with Lewy bodies, shy dragger syndrome.* Alzheimer diseaseHirona bodies/ neurofibrillary tangles* RabiesNegri bodies* Parkinsonism, dementia with Lewy bodiesLewy bodies* Pick bodiesPick disease